Which of the following is the most common non-alcoholic cause of acute pancreatitis
1. Thiazides
2. Hypercalcaemia
3. Gall stones
4. Hyperlipidaemia

Correct answer: 3. Gall stones

Explanation: Gallstones are hardened deposits of digestive fluid. Gallstones can vary in size and number and may or may not cause symptoms. People who experience symptoms usually require gallbladder removal surgery. Gallstones that don't cause symptoms usually don't need treatment Ref : Oxford textbooks of surgery 2nd/e p. 1766